Which of the following abnormalities are not commonly seen with chloroquine toxicity
1. ERG abnormalities
2. Macular pigmentation
3. Corneal deposits
4. Glaucoma

Correct answer: 4. Glaucoma

Explanation: Ocular Manifestations of chloroquine toxicity a. Whorl like opacities in cornea b. Macular pigmentation c. Scotoma d. Posterior subcapsular cataract e. ERG EEG abnormalities f. Hudson stahl line